The best investigation for temporal bone injuries:
1. CT scan
2. Angio
3. Plain film
4. MRI

Correct answer: 1. CT scan

Explanation: Ans. A. CT scana. CT is the primary investigation of choice for clinically important brain injuryb. MRI is not currently indicated as the primary investigationc. Skull x-rays have a role in the detection of non-accidental injuries in childrend. CT should be available within one hour of being requestedIndications for CTa. GCS less than 13 at any point since the injuryb. GCS equal to 13 or 14 at 2 hours after the injuryc. Suspected open or depressed skull fractured. Any sign of basal skull fracturee. Post-traumatic seizuref. Focal neurological deficitg. More than one episode of vomitingh. Amnesia for greater than 30 minutes of events before impacti. If LOC in patients older then 65 years, coagulopathy or dangerous mechanism of injury